Which one of the following central controllers of appetite does not decrease the appetite?
1. CART
2. GRP-1
3. Melanin concentrating hormone (MCH)
4. MSH-alpha

Correct answer: 3. Melanin concentrating hormone (MCH)

Explanation: Answer: c) Melanin concentrating hormone (MCH)Decrease Feeding (Anorexigenic)Increase Feeding (Orexigenic)a-Melanocyte-stimulating hormone (a-MSH)Neuropeptide Y (NPY)LeptinAgouti-related protein (AGRP)SerotoninMelanin-concentrating hormone (MCH)NorepinephrineOrexins A and B (Hypocretins)Corticotropin-releasing hormoneEndorphinsInsulinGalanin (GAL)Cholecystokinin (CCK)Amino acids (GABA)Glucagon-like peptide (GLP)CortisolCocaine- and amphetamine-regulated transcript (CART)GhrelinPeptide YY (PYY)Endocannabinoids